Veroca.) bodies are seen in:
1. Meningioma
2. Hemangioma
3. Glioma
4. Schwannoma

Correct answer: 4. Schwannoma

Explanation: Ans. d. Schwannoma